True about lung compliance:
1. Ratio of change in volume to pressure
2. Has inspiratory and expiratory component
3. Hysteresis exists
4. All

Correct answer: 4. All

Explanation: The difference between the inspiratory and expiratory component of the lung is hysteresis It is due to difference in compliance of lung during inspiration and expiration It is due to difference between concentration of surfactants during inspiration and expiration Ref:Guyton and Hall textbook of medical physiology 12th edition,page number:319,320